The most common site of emboli lodging in lower limb is
1. Popliteal artery
2. Dorsalis pedis artery
3. Posterior tibial artery
4. Bifurcation of common femoral artery

Correct answer: 4. Bifurcation of common femoral artery

Explanation: In lower limb the most common site of emboli lodging is at the bifurcationof common femoral artery (40%); popliteal artery (15%);common iliac artery (12%); aortic bifurcation (10%).